Vector of Crimean Congo Hemorrhagic fever:-
1. Brucella suis
2. Hyalomma tick
3. Brucella abortus
4. Brucella Canis

Correct answer: 2. Hyalomma tick

Explanation: Ixodid (hard) ticks, especially those of the genus, Hyalomma, are both a reservoir and a vector for the CCHF virus. Numerous wild and domestic animals, such as cattle, goats, sheep and hares, serve as amplifying hosts for the virus. Transmission to humans occurs through contact with infected ticks or animal blood. CCHF can be transmitted from one infected human to another by contact with infectious blood or body fluids. Documented spread of CCHF has also occurred in hospitals due to improper sterilization of medical equipment, reuse of injection needles, and contamination of medical supplies.